Function of Golgi tendon organ is to detect
1. Length
2. Tension
3. Pressure
4. Proprioception

Correct answer: 2. Tension

Explanation: Ref:- Ganong's Review of Medical Physiology 25th ed; pg num:- 232